Which of the following would make the most sense as a more specific diagnostic test of shock?
1. A CSF (spinal) tap to check for meningitis.
2. A brainstem auditory evoked response test to see if the person can hear ok.
3. A pupillary light reflex test to check how well the eyes are working.
4. The measurement of serum lactate, elevated levels of which are an indicator of shock.

Correct answer: 4. The measurement of serum lactate, elevated levels of which are an indicator of shock.

Explanation: D: Serum lactate is one of the enzymes that can indicate the occurrence of shock.
A: Checking for meningitis is different from the identification cardiogenic shock.
B: Auditory sense have nothing to do with shock.
C: The eyes could not determine the diagnosis of cardiogenic shock